Hypersecretory glaucoma is seen in -
1. Epidemic dropsy
2. Marfan's syndrome
3. Hypertension
4. Diabetes

Correct answer: 1. Epidemic dropsy

Explanation: Dropsy glaucoma is hypersecretary in nature associated with increased aqueous production. This is due to increased vascular permeability of the ciliary processes caused by the toxins sanguinarine and dihydrosanguinarine. The prostaglandins and histamine have also been implicated in the causation of dropsy glaucoma.